Inotropic receptor among the following is/are:
1. GABAa.
2. Nm
3. Nn
4. All of the above.

Correct answer: 4. All of the above.

Explanation: Other then these NMDA and 5-HT are also inotropic receptors.